Not true regarding perinaud's oculoglandular syndrome
1. Bilateral
2. Preauricular lymphadenopathy
3. Fever
4. Cat scratch disease can be probable cause

Correct answer: 1. Bilateral

Explanation: It is unilateral and not bilateral Perinaud's Oculoglandular Syndrome * U/L Granulomatous conjunctivitis * Pre auricular lymphadenopathy * Fever * Causes are Tularemia, Cat scratch disease, TB ,Syphillis , Lymphogranuloma venerum